Thiopentone is not used in?
1. Induction of anesthesia
2. Medically induced coma
3. As truth serum
4. As antidepressant

Correct answer: 4. As antidepressant

Explanation: Ans. is 'd' i.e., As antidepressant